Most reliable sign of injury to intrathoracic aoa is
1. Presence of apical cap of pleural fluid
2. Depression of left main stem bronchous
3. Obliteration of aoic knob contour
4. Funny looking mediastenum

Correct answer: 3. Obliteration of aoic knob contour

Explanation: Answer- C. Obliteration of aoic knob contourThe most reliable of these signs for the blunt aoic iniury is loss ofthe aoic knob contour.